All of the following show ulnar nerve injury EXCEPT
1. Clawing of medial 2 digits
2. Abductor pollicis palsy
3. Adductor pollicis palsy
4. Sensory loss on medial 1 1/2 fingers

Correct answer: 2. Abductor pollicis palsy

Explanation: Ulnar nerve supplies adductor pollicis which is part of hypothenar eminence and also supplies medial 1 and half portion by sensory innervation. Medial portion of flexor digitorum profundus which helps in flexion is innervated by ulnar nerve. Abductor pollicis is innervated by median nerve so it is the answer.